Which of the following is not a hyaline cartilage
1. Articular cartilage
2. Thyroid cartilage
3. Meniscus
4. Nasal septum

Correct answer: 3. Meniscus

Explanation: Inderbir Singh's Human Histology Pg 83 Hyaline cartilage seen in thyroid and cricoid cartilage and also in nasal septum region